A highway truck driver has profuse rhinorrhoea and sneezing. .Which among the following drug would you prescribe him
1. Pheneramine
2. Promethazine
3. Dimenhydrine
4. Cetrizine

Correct answer: 4. Cetrizine

Explanation: Is a non sedating antihistamines drugs and is preferred for the patients requiring constant attention. it does not cause sedation impairment of psychomotor function. Other Drugs listed in the question are first generation antihistamines. Refer KDT 6/e p157